A patient presents with quadriparesis. CSF shows protein 1 g%, sugar 40 mg% and no cells. He should be treated with :
1. Antisnake venum
2. 5% dextrose
3. Intravenous immunoglobulin
4. I.V. Potassium chloride

Correct answer: 3. Intravenous immunoglobulin